A farmer has an ulcer on a leg with indurated margin and multiple sinuses with discharging black granules. The likely diagnosis is
1. Mycetoma
2. Scrofuloderma
3. Lupus vulgaris
4. Actinomycosis

Correct answer: 1. Mycetoma

Explanation: Actinomycotic mycetoma - white to yellow granules and filaments are thin. Mycotic mycetoma - black granules and filaments are stout. Ref: Textbook of Microbiology, Ananthanarayan and Paniker; 9th edition